Osmolarity of plasma is
1. 190
2. 290
3. 390
4. 490

Correct answer: 2. 290

Explanation: Plasma Osmolarity :it is a measure of hydration status.plasma Osmolarity changes during dehydration and rehydration. Plasma Osmolarity ranges from 280 to 300 mOs/kg Ref:Guyton and Hall textbook of medical physiology 12th edition ,pag number:45 46